Laparoscopic cholecystectomy done in a patient with cholelithiasis. Pathology report shows adenocarcinoma with invasion of muscular layer. CT was normal. Further t/t is
1. Wait and regular follow up
2. Wedge hepatic resection with lymph node dissection
3. Excise all port sites
4. Radiotherapy

Correct answer: 2. Wedge hepatic resection with lymph node dissection

Explanation: HEPATIC RESECTION  (Indications)  

Parasitic and non-parasitic cysts.  
Benign and primary malignant tumours of the liver.   
Secondary tumour that involves by direct extension  like from carcinoma of gallbladder or limited  secondaries from carcinoma colon/carcinoids.
Trauma to liver.Removal of small portion of liver either within the  segment or traversing segments is called as wedge  resection of the liver.